Brown Sign is seen in-
1. Glomus tumour
2. Acoustic neuroma
3. Adenoid cystic carcinoma of parotid
4. Warthin tumour

Correct answer: 1. Glomus tumour

Explanation: Ans. is 'a' i.e., Glomus tumourClinical features of Glomus tumouso The earliest symptoms of glomus tumour is pulsatile tinnitus and hearing loss. Hearing loss is conductive and slowly progressive. These are followed by blood stained otorrhoea and earache.Signs in glomus tumouro Before the tympanic membrane (eardrum) is perforated a red swelling is seen to arise from the floor of middle ear, i.e. "Rising sun" appearance. This results in a red reflex through the intact tympanic membrane. Sometimes, eardrum may be bluish and bulging.o Pulsation sign (Brown sign) is positive, i.e. when ear canal pressure is raised with Siegle's speculum, tumor pulsates vigorously and then blanches; reverse happens with release of pressureo Aquino sign is positive, i.e. blanching of mass with manual compression of ipsilateral carotid artery.